Glutathione is maintained in reduced state by the help of ?
1. HMP shunt
2. Glycogenesis
3. Uronic acid pathway
4. Transamination

Correct answer: 1. HMP shunt

Explanation: Ans. is 'a' i.e., HMP shunt Oxidized glutathione is reduced by the help of NADPH, which is generated by NADPH.